Commonest causative organism for angular conjunctivitis is
1. Moraxella axenfeld
2. Haemophilus influenzae
3. Klebsiella pneumoniae
4. None of the above

Correct answer: 1. Moraxella axenfeld

Explanation: ANGULAR CONJUNCTIVITIS It is a type of chronic conjunctivitis characterised by mild grade inflammation confined to the conjunctiva and lid margins near the angles. Causative organisms: Moraxella Axenfeld is the commonest causative organism. Pathology: The causative organism, i.e., MART bacillus produces a proteolytic enzyme which acts by macerating the epithelium. This proteolytic enzyme collects at the angles by the action of tears and thus macerates the epithelium of the conjunctiva, lid margin and the skin the surrounding angles of eye. The maceration is followed by vascular and cellular responses in the form of mild grade chronic inflammation. Skin may show eczematous changes. Clinical features: Symptoms : Irritation, smarting sensation and feeling of discomfort in the eyes. History of collection of dirty-white foamy discharge at the angles. Redness in the angles of eyes. Signs: Hyperaemia of bulbar conjunctiva near the canthi. Hyperaemia of lid margins near the angles. Excoriation of the skin around the angles. Presence of foamy mucopurulent discharge at the angles. Reference :- A K KHURANA;6th edition, page:-61